Most common cause of embolic stroke is
1. Intra-Cardiac Thrombi
2. Particulate matter from IV drug injections
3. Protein C deficiency
4. Antiphospholipid syndrome

Correct answer: 1. Intra-Cardiac Thrombi

Explanation: Ans. is 'a' i.e., Intra-Cardiac Thrombi The most common cause of embolic strokes are Intra-cardiac Thrombi. The most common sources of systemic embolism and embolic stroke are Intra-cardiac thrombi formed as a result of atrial fibrillation, ST-elevation MI, left ventricular dysfunction or heart failure.